Which vaccine among the following options is not kept in the freezer component in Cold Chain
1. OPV
2. Measles
3. DPT
4. Rubella

Correct answer: 3. DPT

Explanation: Ans. is 'c' i.e., DPT o A vaccine which must be stored in the cold part but never allowed to freeze. # Typhoid # DPT # TT # Hepatitis B # DT # BCG # Diluents Important facts- o All vaccines are usually stored (for routine storage) in the refrigerator (ILR), i.e. at +2 to +8degC (even OPV). o But OPV is stored in the freezer at -20 to -40degC, if required for prolonged storage. o Measles, mumps and rubella (MMR) can also be stored in the freezer (i.e. freeze-dried). o Vaccines which must never be allowed to freeze are typhoid, DPT, TT, DT, BCG, hepatitis B and diluents.